Which of the following best defines the "Saccade"-
1. Voluntary slow eye movements
2. Involuntary slow eye movement
3. Abrupt, involuntary slow eye movements
4. Abrupt, involuntary rapid eye movements

Correct answer: 4. Abrupt, involuntary rapid eye movements

Explanation: Saccades are sudden, jerky conjugate eye movements that occur as the gaze shifts from one object to another. Supranuclear eye movement systems include : Saccadic system Smooth pursuit system Vergence system Vestibular system Optokinetic sysytem Position maintenance system Ref;A.K.Khurana;6th edition; Page no: 341